Diffusion is inversely related to:
1. Molecular size
2. Area
3. Concentration gradient
4. Solubility

Correct answer: 1. Molecular size

Explanation: Diffusion is directly proportional to area, solubility, concentration gradient It is inversely related to thickness and molecular size